Source of Ca+2 in dentinal bridge is:
1. Blood
2. Ca(OH)
3. saliva
4. ICF

Correct answer: 1. Blood